All are true regarding Hib vaccine except:
1. Protects against non capsulated H. influenza disease
2. Catch up vaccination before 5 years
3. Can be given in less than 6 months
4. Given 2 weeks before splenectomy

Correct answer: 1. Protects against non capsulated H. influenza disease

Explanation: A i.e. Protects against non capsulated H. influenza diseaseRef: Indian Academy of Pediatrics Guide Book on Immunisation, 2013-14Explanation:Hemophilus Influenzae Type B (Hib) Conjugate VaccinesCapsulated H. influenzae has six serotypes of which type B - important invasive pathogen causing diseases such as meningitis, bacteremia, pneumonia, cellulitis, osteomyelitis, septic arthritis and epiglottitis.Natural protective immunity is acquired by the age of 3-4 years.No protection against - Non capsulated Hib disease - bronchitis, otitis media, sinusitis and some pneumonia.Vaccines should be stored at 2 to 8degC and the recommended dose is 0.5 ml intramuscularly.90-100% efficacy against culture proven invasive Hib disease for 1 year after vaccination.Age at initiationNo. of dosesGeneral measuresBelow 6 monthsThree doses when initiatedInterval between two doses should be at least 4 weeksCatch up vaccination - 5 years of ageBetween 6 and 12 months2 doses and 1 dose between 12-15 months, with a booster at 18 monthsMore than 15 monthsSingle doseAll individuals with functional/anatomic hyposplenia irrespective of age.Vaccines recommended for functional/anatomical hypo or asplenia:2 weeks prior to splenectomyHemophilus influenzae type B (hib) conjugate vaccines.Meningococcal vaccines.Pneumococcal vaccine.